Risk of rupture of uterus with previous classical caesarean section is:
1. 0.5-1.5%
2. 2-4%
3. 4-8%
4. 8-16%

Correct answer: 3. 4-8%

Explanation: Ans. C: 4-8% Classical caesarean section carries more risk of scar rupture (4-8%) Scar rupture in lower segment CS is less (0.5-1.5%)